If first Quartile is 34, how much % of observations will be more than this?
1. 25
2. 75
3. 37
4. 66

Correct answer: 2. 75

Explanation: Given 1st quartile Q1= 34 - Thus, 75% of observations will be more than this